As viewed from the right atrium, the floor of the fossa ovalis is formed by
1. Septum primum
2. Septum secundum
3. Endocardial cushions
4. Tricuspid valve orifice

Correct answer: 1. Septum primum

Explanation: Fossa oavlis represents the site of embryonic spectum primum hence from right atrium its seems to be developed from septum primum. BD CHAURASIA'S HUMAN ANATOMY.VOLUME 1. 6TH EDITION.PAGE NO 255